Techniques of delivery of after coming head in breech presentation:a) Burns-Marshall methodb) Forceps deliveryc) Modified Mauriceau-Smellie-Veit techniqued) Lovset's maneuver
1. ab
2. abc
3. acd
4. bcd

Correct answer: 2. abc

Explanation: Methods of delivery of after coming head of breech:

Burns marshall technique
Mouriceau smellie met technique
Piper’s forcep or Neville Barnes forceps